False about scurvy
1. Due to defective in hydroxylation of cysteine and proline
2. Bleeding gums
3. Failure to thrive
4. Metaphyseal fracture

Correct answer: 1. Due to defective in hydroxylation of cysteine and proline